Analysis of routine measurement aimed at detecting changes in the environment?
1. Surveillance
2. Isolation
3. Monitoring
4. RCT

Correct answer: 3. Monitoring

Explanation: Monitoring is the performance and analysis of routine measurements aimed at detecting changes in the environment or health status of population.